Malampati grading is for
1. Mobility of cervical spine
2. Mobility of atlantoaxial joint
3. Assesment of free rotation of neck before intubation
4. Inspection of oral cavity before intubation

Correct answer: 4. Inspection of oral cavity before intubation

Explanation: Mallampati classification: a frequently performed test that examines the size of the tongue in relation to the oral cavity. The more the tongue obstructs the view of the pharyngeal structures, the more difficult intubation maybe Class I: The entire palatal arch, including the bilateral faucial pillars, is visible down to the bases of the pillars. Class II: The upper part of the faucial pillars and most of the uvula are visible. Class III: Only the soft and hard palates are visible. Class IV: Only the hard palate is visible. Ref: Miller's anesthesia 8th edition Ref: Morgan & Mikhail's clinical anesthesiology 6e